Repeated advertisement in newspaper by a medical practitioner is an example of :
1. Infamous conduct
2. Ethical negligence
3. Criminal negligence
4. Privilaged communication

Correct answer: 1. Infamous conduct

Explanation: A i.e. Infamous conduct